Not included in human development index -
1. GNI per capita
2. Life expectancy at 1 yr
3. Years of schooling
4. Knowledge

Correct answer: 2. Life expectancy at 1 yr

Explanation: Ans. is 'b' i.e., Life expectancy at 1 year o Life expectancy at birth is a dimension of HDI (not life expectancy at one year).HUMAN DEVELOPMENT INDEX (HDDo HDI is a composite index combining indicators representing three dimensions.Components of HDIRecent (23"Ve & 22nAle of Park)Old (Previous editions)1. Longevity: - Life expectancy at birth2. Knowledey Mean years of schoolingy Expected years of schooling3. Income:-GNI per capita1. Longevity: - Life expectancy at birth2. Knowledgey Mean years of schooling (gross enrolment ratio)y Adult literacy rate3. Income: - GDP per capita